Intraarticular steroid is least prefferd in osteoarthritis is -
1. Triamcenolone
2. Hydrocortisone
3. Prednisolone
4. Betamethasone

Correct answer: 3. Prednisolone

Explanation: Answer- C. Prednisolone Corticosteroids used for intraarticular injections:-Hydrocortisone acetate (Hydrocortone).Methylprednisolone acetate (Depo-medrol).Triamcinalone acetonide (Aristocort ).Dexamethasone sodium phosphote (Decadron).Betamethasone sodium phosphate and acetate.